Anti transglutaminase antibody is seen in?
1. Celiac disease
2. SLE
3. Collagenous colitis
4. Tropical sprue

Correct answer: 1. Celiac disease

Explanation: The most sensitive tests are the presence of IgA antibodies to tissue transglutaminase or IgA or IgG antibodies to deamidated gliadin. TEXT BOOK OF ROBBINS BASIC PATHOLOGY NINTH EDITION PAGE.579